Duroziez's sign is seen in
1. Aortic regurgitation
2. Tricuspid regurgitation
3. Mitral stenosis
4. Carcinoid syndrome

Correct answer: 1. Aortic regurgitation

Explanation: Ref Harrison 19 th ed pg 1536 booming "pistol-shot" sound can be heard over the femoral arteries (Traube's sign), and a to-and-fro murmur (Duroziez's sign) is audible if the femoral artery is lightly compressed with a stethoscope.